Blepharitis acarica is caused by -
1. Streptococcus
2. Ascaricus
3. Propionibacterium
4. Demodex folliculorum

Correct answer: 4. Demodex folliculorum

Explanation: REF IMG